Fatty acids are oxidized by all the following tissues, Except
1. Liver
2. Adipose tissue
3. Brain
4. Skeletal muscle

Correct answer: 3. Brain

Explanation: Fate of free fatty acids : The fatty acids released by lipolysis in the adipocytes enter the circulation and are transported in a bound form to albumin. The free fatty acids enter various tissues and are utilized for the energy. About 95V' of the energy obtained from fat comes from the oxidation of fatty acids. Certain tissues, however, cannot oxidize fatty acids, e.g. brain, erythrocytes. Ref: Biochemistry by U. Satyanarayana 3rd edition Pgno : 287